Which hormone is under inhibitory control?
1. GH
2. Prolactin
3. FSH
4. LH

Correct answer: 2. Prolactin

Explanation: Prolactin (PRL), also known as luteotropic hormone or luteotropin, is a protein that in humans is best known for its role in enabling mammals, usually females, to produce milk. During pregnancy, high circulating concentrations of estrogen and progesterone increase prolactin levels by 10- to 20-fold. Estrogen and progesterone inhibit the stimulatory effects of prolactin on milk production. The abrupt drop of estrogen and progesterone levels following delivery allow prolactin--which temporarily remains high to induce lactation.Ref: Ganong's review of medical physiology; 24th edition; page no: 416